True regarding hepatitis E virus is:
1. Seen in Post transfusion cases
2. Associated with increased mortality in pregnant female
3. Associated with hepatitis B virus
4. All

Correct answer: 2. Associated with increased mortality in pregnant female

Explanation: Answer is B (Associated with increased mortality in pregnant women) Hepatitis E is associated with increased mortality in pregnant women and is acquired by fecooral route. Hepatitis E is not associated with transfusion with Hepatitis B virus infection. Most common virus associated with transfusion associated hepatitis is HCV Hepatitis E is associated with increased mortality in pregnant females A unique feature of Hepatitis E virus is the clinical severity and high case fatality rate of 20-40% in pregnant women, especially in the last trimester of pregnancy. Hepatitis D is associated with Hepatitis B infection and not Hepatitis E